Not used for treatment of heroin detoxification:
1. Disulfiram
2. Buprenorphine
3. Clonidine
4. Lofexidine

Correct answer: 1. Disulfiram

Explanation: Ans. Disulfiram